serum prolactin level are highest
1. After 24 hour of parturition
2. After 24 hour of ovulation
3. After REM sleep
4. After running for 1 hour

Correct answer: 1. After 24 hour of parturition

Explanation: proactin is more in NREM sleep in ovulation its low ref : dutta 9th ed